Which of the following is the most effective treatment of severe malaria?
1. Aenusate
2. Chloroquine
3. Primaquine
4. Doxycycline

Correct answer: 1. Aenusate

Explanation: Artesunate has, therefore, become the drug of choice for all patients with severe malaria everywhere. Artesunate is given by IV injection but can also be given by IM injection. Artemether and the closely related drug artemotil (arteether) are oil-based formulations given by IM injection; they are erratically absorbed and do not confer the same survival benefit as artesunate. (Harrison's Principles of internal medicine, 20 th edition, page 1701)